Skin scrapping & KOH mounting is done for ?
1. Leprosy
2. Varicella
3. Fungus
4. HSV

Correct answer: 3. Fungus

Explanation: Ans. is 'c' i.e., Fungus Laboratory diagnosis of fungal infection Laboratory diagnosis of fungal infection depends on : ? l. Recognition of the pathogen in tissue microscopy : - Tissue specimens, such as skin scraping, are generally examined as wet mounts after treatment with 10% KOH. KOH (alkali) digests cells and other tissue materials, enabling the fungus elements to be seen clearly. Periodic acid schiff (PAS) and methanamine silver are two most commonly used stains for the demonstration of fungal elements in tissue sections. Culture : - Culture media used most common in mycology is Sabauraud's glucose agar. Serology : - ELISA complement fixation test, Immunodiffusion. PCR : - Detection of fungal DNA is clinical material.